Vascular inflow occlusion of the liver is by ?
1. Clamping the hepatic artery
2. Occluding the portal vein
3. Clamping the hepatic veins
4. The Pringle manoeuvre

Correct answer: 4. The Pringle manoeuvre

Explanation: Ans. is 'd' i.e., The Pringle manoeuvre Pringle manoeuvre - placing an atraumatic clamp across the foramen of Winslow.